In which of the following conditions do the ovaries functions normally?
1. Turner's syndrome
2. Rokitansky-Kuster-Hauser syndrome
3. Androgen insensitivity syndrome
4. Swyer's syndrome

Correct answer: 2. Rokitansky-Kuster-Hauser syndrome

Explanation: Ans. is b, i.e. Rokitansky-Kuster-Hauser syndromeRef: Jeffcoates 7th/ed, p197-198; Shaw 14th/ed, p82; COGDT 10th/ed, p549* Ovaries develop from genital ridge, whereas fallopian tubes, uterus, cervix and upper part of vagina are formed by Mullerian duct.* In Mullerian agenesis which is also called as Mayer-Rokitansky-Kuster-Hauser syndrome, fallopian tube, uterus, cervix and upper part of vagina are absent and not ovaries.* Ovaries are normally functioning.